Which of the following drugs has the highest bactericidal activity against Mycobacterium leprae?
1. Rifampicin
2. Clofazimine
3. Dapsone
4. Minocycline

Correct answer: 1. Rifampicin

Explanation: Rifampicin has a high bactericidal activity against M. leprae. A single dose of 1500 mg appears to kill 99% of the organisms. Ref: Park 21st edition, page 296.